APC gene exerts its effect in combination with which of the following
1. Beta catenin
2. E cadherin
3. Alpha catenin
4. BCX

Correct answer: 1. Beta catenin

Explanation: Regulation of beta-catenin preventsgenes that stimulate cell division from being turned on too often and prevents cell overgrowth. The humanAPC gene is located on the long (q) arm of chromosome 5 in band q22.2 (5q22.2). The APC gene has been shown to contain an internal ribosome entry site. Refer robbins